Wernicke's hemianopic pupillary reaction indicates lesions at the level of
1. Distal part of optic nerve
2. Optic tract
3. Optic chiasma
4. Optic radiation

Correct answer: 2. Optic tract

Explanation: Lesions of optic tract: These are characterised by incongruous homonymous hemianopia associated with contralateral hemianopic pupillary reaction (Wernicke's reaction). These lesions usually lead to partial descending optic atrophy and may be associated with contralateral third nerve paralysis and ipsilateral hemiplegia. Common causes of optic tract lesions: Include syphilitic meningitis or gumma, tuberculosis and tumours of optic thalamus and aneurysms of superior cerebellar or posterior cerebral arteries. Ref:- A K KHURANA; pg num:-290